Medial boundry of Cubital fossa ?
1. Brachioradialis
2. Pronator teres
3. Supinator
4. None

Correct answer: 2. Pronator teres

Explanation: Ans. is 'b' i.e., Pronator teres